Drug which does not cause hemolysis in G6PD deficiency is ?
1. Primaquine
2. Dapsone
3. Corticosteroids
4. Methylene Blue

Correct answer: 3. Corticosteroids